Aldolase is an enzyme whose substrate is
1. Glucose -6-phosphate
2. Fructose-6-phosphate
3. Fructose
4. Fructose-1 biphosphate

Correct answer: 4. Fructose-1 biphosphate

Explanation: Ans. (d) Fructose-1, biphosphateRef: Harper's Biochemistry, 30 ed. pg. 202-203th* Aldolase B is preferentially expressed in the liver, while aldolase A is expressed in muscle and erythrocytes and aldolase C is expressed in the brain. Slight differences in isozyme structure result in different activities for the two substrate molecules: Fructose 1,6-Biphosphate and fructose 1-phosphate. Aldolase B exhibits no preference and thus catalyzes both reactions, while aldolases A and C prefer FBR* Aldolase A is an enzyme that catalyses a reversible aldol reaction: The substrate, fructose 1,6-bisphosphate (F- 1,6- BP) is broken down into glyceraldehyde 3-phosphate and dihydroxyacetone phosphate (DHAP).* Sucrose is composed of glucose and fructose and hence cannot be tolerated by patients of HFI.